Cataract associated with convulsion is seen in
1. Toxoplasmosis
2. Tay Sac's disease
3. Galactosemia
4. Birth asphyxia with prematurity

Correct answer: 3. Galactosemia

Explanation: C i.e. Galactosemia Galactosemia presents with B/IRT., oil droplet cataract, convulsion, Hepatosplenomegaly, ascitis, jaundice, and reluctance to ingest breast milk Q.